Anticoagulant of choice for ESR by Wintrobes method -a)  Citrateb)  Heparinc)  Oxalated)  EDTA
1. ab
2. cd
3. bd
4. ac

Correct answer: 2. cd

Explanation: Anticoagulant of choice for ESR by  
Wintrobes method  → Double oxalate & EDTA
Westergren method → Sodium citrate